Which one of the following is the result of applying a load to a wire below its modulus of elasticity on a load deflection diagram?
1. Fracture of the wire
2. Permanent deformation
3. Spring back
4. Increase in stiffness

Correct answer: 3. Spring back